Method use to view periphery of retina:
1. Direct ophthalmoscopy
2. Retinoscopy
3. Indirect ophthalmoscopy
4. None

Correct answer: 3. Indirect ophthalmoscopy

Explanation: Ans. C i.e. Indirect ophthalmoscopy